All of the following structures forms the boundaries of the quadrangular space which is present under the deltoid muscle in the shoulder region, from the posterior side, EXCEPT:
1. Teres minor
2. Teres major
3. Surgical neck of humerus
4. Long head of biceps brachii

Correct answer: 4. Long head of biceps brachii

Explanation: Structures forming the boundaries of the quadrangular space from the posterior side are:Superiorly by teres minorInferiorly by teres majorLaterally by surgical neck of humerusMedially by long head of triceps brachiiContents of the quadrangular space are:Axillary nervePosterior circumflex humeral vesselsSagging part of shoulder joint capsuleRef: Clinical Anatomy: (a Problem Solving Approach) By Kulkarni page 110.